Indirect retainers in bilateral distal extension base removable partial dentures are based on:
1. Class I lever principle
2. Class II lever principle
3. Class III lever principle
4. Combination of more than one of the above

Correct answer: 2. Class II lever principle